The length of the female urethra is :
1. 20 mm
2. 40 mm
3. 45 mm
4. 60 mm

Correct answer: 2. 40 mm

Explanation: 40 mm